Bleeding in DIC is most closely related to:
1. Raised fibrin degradation products level in blodd
2. Prolong prothrombin time
3. Low serum fibrinogen level
4. Raised thrombin time

Correct answer: 3. Low serum fibrinogen level

Explanation: Answer is C (Low serum fibrinogen level): DIC that corvelates relates to bleeding tendency is serum fibrinogen levels `Low fibrinogen levels predicts more bleeding'-